All agents can be given for induction of anaesthesia in children except ?
1. Halothane
2. Sevoflurane
3. Morphine
4. N2O

Correct answer: 3. Morphine

Explanation: Morphine is not an inducing agent.
Sevoflurane is the agent of choice and is used in N2O + O2 gas mixture. Halothane is the second choice inducing agent.